Major portion of body water lies in:
1. Extracellular
2. Intracellular
3. Both of the above
4. None of the above

Correct answer: 2. Intracellular

Explanation: Intracellular